(A/A+C) x 100 in the given table isTest resultPersons with diseasePersons without diseaseTotalPositiveABA+BNegativeCDC + D
1. Specificity
2. Sensitivity
3. PPV
4. NPV

Correct answer: 2. Sensitivity

Explanation: Ans. is 'b' i.e., Sensitivityo In this that A is true positive and C is false negative.ThusA----A + Cx 100 =True Positive--------------------------True Positive + False Negativex 100 = Sensitivity o Specificity in this question isD (True Negative)--------------------------------D (True Negative) + B (False Positive)xl00